Drug kept as a last resort in the management of primary open angle glaucoma is -
1. Latanoprost
2. Topical beta blocker
3. Brimonidine
4. Oral acetazolamide

Correct answer: 4. Oral acetazolamide

Explanation: Acetazolamide and methazolamide are not recommended for long term use because of their side effects. However, acetazolamide 250 mg Tds may be added to control IOP for short term Ref :Ophthalmology A K Khurana 6th edition chapter-10 page no :237